Which of the following would be expected to contain relatively high numbers of functional hematopoietic cells?
1. Adult liver
2. Umbilical cord blood
3. Adult circulating blood
4. Adult spleen

Correct answer: 2. Umbilical cord blood

Explanation: Ans. B. Umbilical cord blooda. Umbilical cord blood, derived from the circulating blood of newborn infants, possesses high levels of hematopoietic progenitors.b. Levels of circulating progenitors rapidly decrease after birth, depleting the progenitor content within the circulating blood of adults.c. The spleen of adult human's functions as a hematopoietic organ in certain disease states, such as leukemia.d. However, in other animals and in developing human fetuses, the spleen plays an important role in the hematopoietic response.e. While the liver and the thymus are important in hematopoiesis and immune reconstitution prior to birth, these organs are not involved in hematopoiesis in adult humans.